TRUE about attachment at ischial tuberosity
1. Origin of semitendinosus from superolateral area
2. Origin of semimembranosus from superolateral area
3. Origin of long head of biceps from inferolateral area
4. Origin of adductor magnus from inferomedial area

Correct answer: 2. Origin of semimembranosus from superolateral area

Explanation: Muscle Origin Semitendinosus Inferomedial impression on upper part of ischial tuberosity Semimembranosus Superolateral impression on upper part of ischial tuberosity. Biceps femoris Long head: inferomedial impression on upper part of ischial tuberosityshort head:lateral lip of linea aspera Adductor magnus Lower lateral part of ischial tuberosity, ramus of ischium, lower part of inferior ramus of pubis. fig:-ischial tuberosity attachment of muscles